Furcation involvement with no radio graphic evidence is
1. Grade II
2. Advanced grade II
3. Grade I
4. Early grade III

Correct answer: 3. Grade I